A population of 100000 is under surveillance during an year. 100 cases were positive for malarial thick smear. What is the annual parasite index ?
1. 1 per 1000
2. 2 per 1000
3. 10 per 1000
4. 20 per 1000

Correct answer: 1. 1 per 1000

Explanation: Ans. is 'a' i.e.,1 per 1000 Annual Parasite Incidence =(confirmed cases during one year/population under surveillancee) x 1000Population under surveillance = 100000Confirmed cases = 100 100API - x 1000 = 1 100,000So, API is 1 per 1000 population.